Bryant's triangle is useful in diagnosis of following except:
1. Supratrochanteric shortening
2. Infratrochanteric shortening
3. Anterior dislocation hip
4. Posterior dislocation hip

Correct answer: 2. Infratrochanteric shortening

Explanation: * Bryant's triangle or the ilio-femoral triangle on both sides can be used to diagnose fracture of neck of femur. A horizontal line is drawn passing through the anterior superior iliac spine. A vertical line is drawn from the tip of the greater trochanter to the horizontal line. The third line is drawn between the anterior superior iliac spine and the tip of greater trochanter. The triangles of the two sides are compared. It is used to measure supra-trochanteric shortening and dislocation of hip joint. * Infra-trochanteric shortening can be measured by measuring the shaft of femur.